Which of the following is a TCA ?
1. Amoxapin
2. Citalopram
3. Venlafaxine
4. Bupropion

Correct answer: 1. Amoxapin

Explanation: Ans. is 'a' i.e., Amoxapine Antidepressants A. Typical Tricyclic antidepressants NA + 5HT reuptake inhibitors :- Imipramine, Trimipramine, Amitriptyline, Clomipramine. Predominantly NA reuptake inhibitors :- Desipramine, Nortriptyline, Amoxapine, Reboxetine. b)Selective serotonin reuptake inhibitors :- Fluoxetine, Paroxetine, Sertaline, Citalopram, Scitalopram. B . Atypical :- Trazodone, Mianserine, Mitrazapine, Venalafaxin, Duloxetine, Tianeptine, Amineptine, Bupropion. C. MAO inhibitors :- Tranylcypramine, Meclobemide, Clorgyline.